Following will cause CNS-vasculitis except ?
1. SLE
2. Whipples disease
3. Granulomatous vasculitis
4. PAN

Correct answer: 2. Whipples disease

Explanation: Ans. is 'b' i.e., Whipples disease CNS Vasculitis is vasculitis involving the vessels of brain and occasionally the spinal cord. Causes of CNS vasculitis Primary angitis of CNS (PACNS) o If there is no underlying cause. o Also known as granulomatous angitis of nervous system. Secondary o When CNS vasculitis is due to some underlying disease, eg:- i) Bechet's disease ii) PAN iii) Wegner's granulomatosis iv) Connective tissue disorders - SLE, RA v) Cancer - lymphoma, leukemia, lung cancer vi) Drugs - Amphetamine, cocaine, Heroin Others - Fibromusular dysplasia and thrombotic thrombocytopenia purpura